Type of schizophrenia with intellectual disability
1. Von-Gosh syndrome
2. Paranoid schizophrenia
3. Catatonic schizophrenia
4. Pfropf schizophrenia

Correct answer: 4. Pfropf schizophrenia

Explanation: Pfropf schizophrenia occurring in the presence of intellectual disability .it differs from schizophrenia in only that there is often a poverty of ideation and delusions are not usually very well systematised.therefore behavioural disturbances are more prominent than delusions and hallucinations Ref: A short textbook of Psychiatry. Nihal Ahuja. Edition 7. Pg no:61